Ethambutol is safer in patient of:
1. Liver disease
2. Kidney disease
3. Gout
4. Both 1 and 2

Correct answer: 1. Liver disease

Explanation: All first line drugs used against M.Tuberculosis are hepatotoxic except Ethambutol. But it requires dose adjustment in renal failure.